All of the following are examples of primary active transport, except:
1. The Na+/K+ ATPase in the red cell membrane
2. The H+/K+ ATPase in the parietal cell of stomach
3. Na+/ glucose symporter
4. SERCA in the skeletal muscle

Correct answer: 3. Na+/ glucose symporter

Explanation: Sodium/glucose symporter is an example of secondary active transport. SERCA: Sarcoplasmic Endoplasmic Reticulum Ca++ ATPase. It transports two molecules of Ca++ for each molecule of ATP hydrolysed. Ca++ pumped out of the sarcoplasm, into the longitudinal tubules, to decrease the sarcoplasmic and thus causes muscle relaxation.